What is meant by "Suppositious" child:
1. Second born of a twin pregnancy
2. Child born out of wed lock
3. Child rear up by a women & she claims the child
4. Heterozyous mother & father

Correct answer: 3. Child rear up by a women & she claims the child

Explanation: Ans: C (Child rear up by a women & she claims the Supposititious CHildrenIt means fictitious children A woman may pretend pregnancy and delivery' & later produce a living child as her own, or she may substitute a male child for female child born of her, or for an abortion.This is done for obtaining money or for the purpose of claiming property. Other legal issues involved are blackmailing a man or bringing a charge of breech of promise of marriage against a man.In such cases, the woman should be examined for signs of pregnancy and delivery.The medical evidence is useful only when the age of the suppositious child does not correspond to the date of the pretended delivery.DNA fingerprinting will be conclusive .